Which nerve needs to be carefully identified during parotid gland surgery?
1. Trigeminal nerve
2. Facial nerve
3. Chorda tympani
4. Greater petrosal nerve

Correct answer: 2. Facial nerve

Explanation: The basic principle of facial nerve dissection is to avoid any unnecessary stimulation of the nerve. Specific tools used in dissection vary from surgeon to surgeon and include cold, bipolar electrocauterization, and ultrasonic dissection. Most surgeons caution against the use of a monopolar cautery in close proximity to the facial nerve.Ref: PL Dhingra, Diseases of Ear, Nose & Throat, 7th edition, pg no. 99